Toxoid is prepared from
1. Exotoxin
2. Endotoxin
3. Both
4. None

Correct answer: 1. Exotoxin

Explanation: Certain organisms produce exotoxins,e.g, diphtheria and tetanus bacilli. The toxins produced by these organisms are detoxified and used in the preparation of vaccine The antibodies produced neutralize the toxic moiety produced during infection, rather than act upon the organism. (refer pgno:105 park 23 rd edition)